In dysmenorrhoea indomethacin works by -
1. Inhibiting prostaglandin synthetase
2. Suppressing ovulation
3. Reducing inflammation
4. Relaxing smooth muscle

Correct answer: 1. Inhibiting prostaglandin synthetase

Explanation: Ans. is 'a' i.e., Inhibiting prostaglandin synthetase Medical measures to relieve dysmenorrheao Analgesics paracetamol and piroxicam.o Antispasmodies hyoscine, camylofin, and drotaverineo Prostaglandin synthetase inhibitors inhibiting cyclo-oxygenaseMefenamic acid, indomethacin, naproxen, ibuprofen.o Smooth muscle relaxantGlyceryltrinitrateo Progestogen containing IUCDMirena and progestasert - reduce pain, provide contraception and reduce bleeding, o Cyclical oral contraceptive drugso Vitamin E